The ability of amino acids/proteins to behave like zwitterions forms the basis for separating them using the following technique
1. Gel filtration chromatography
2. Ion exchange chromatography
3. Isoelectric focusing
4. Mass spectrometry

Correct answer: 3. Isoelectric focusing

Explanation: Isoelectric focusing is based on the isoelectric pH (pH at which a molecule carries no net charge). pH gradients created in the gel using polyampholytes. As there is no net charge, molecule stops moving during electrophoresis if they encounter their pI.